Calcifying epithelioma is seen in -
1. Dermato fibroma
2. Adenoma sebaceum
3. Pyogenic granuloma
4. None

Correct answer: 4. None

Explanation: Ans. is 'None' Correct answer is Pilomatrixoma.